Anterior boundry of lesser sac is formed by -
1. 3rd layer of greater omentum
2. Left kidney
3. Caudate lobe of liver
4. Pancreas

Correct answer: 3. Caudate lobe of liver

Explanation: Ans. is 'c' i.e., Caudate lobe of liver o Boundries of lesser sac areAnterior wall :- Caudate lobe of liver,, stomach, lesser omentum, and 2nd layer of greater omentum.Posterior wall :- 3rd layer of greater omentum, and structures forming stomach bed (transverse colon, transverse mesocolon, diaphragm, left kidney, left suprarenal gland, pancreas and splenic vessels).Right border Right free margin of greater omentum and floor of epiploic foramen.Left border Left free margin of greater omentum; gastrosplenic, linorenal and gastrophrenic ligaments.5) Upper border reflection of peritoneum from esophagus to diaphragm.6) Lower border Continuation of 2nd and 3rd layers of greater omentum.